Surgery used to treat posterior capsular Opacification is
1. Laser Posterior Capsulotomy
2. Extracapsular cataract Extraction
3. Phacoemulsification
4. Lensectomy

Correct answer: 1. Laser Posterior Capsulotomy

Explanation: Posterior Capsular opacification is a complication of Cataract surgery.
Treatment is Nd : YAG laser posterior capsulotomy.